The colloidal plasma expander used in treatment of hypovolemic shock is
1. 5% dextrose saline
2. Normal saline
3. Ringer Lactate
4. 6% dextran

Correct answer: 4. 6% dextran